"Telescope fingers" occur in
1. Rheumatic arthritis
2. Rheumatoid arthritis
3. Psoriatic arthritis
4. Reiter's arthritis

Correct answer: 3. Psoriatic arthritis

Explanation: Arthritis mutilans (A feature of psoriatic arthritis) This is a deforming erosive arthritis targeting the fingers and toes; it occurs in 5% of cases of PsA. Prominent cartilage and bone destruction results in marked instability. The encasing skin appears invaginated and 'telescoped' ('main en lorgnette') and the finger can be pulled back to its original length. Ref Davidsons 23e p1033